All of the following are monoclonal antibodies against CD-20 except :
1. Rituximab
2. Ofatumumab
3. Ocrelizumab
4. Brentuximab

Correct answer: 4. Brentuximab

Explanation: Rituximab, Ofatumumab, Ocrelizumab & Obinutuzumab are monoclonal antibodies against Cd-20.
Brentuximab acts against CD30.